Concha and Eminent Concha are supplied by
1. Great Auricular Nerve
2. Lesser Occipital Nerve
3. Auriculotemporal Nerve
4. Auricular Branch of Vagus nerve

Correct answer: 4. Auricular Branch of Vagus nerve

Explanation: The auricular branch arises from the superior ganglion of the vagus. It crosses the facial canal 4 mm above the stylomastoid foramen, emerges through the tympanomastoid fissure, and ends by supplying the concha and root of the auricle, the posterior half of the external auditory meatus, and the tympanic membrane (outer surface)Reference: Chaurasia Head and Neck; 6th edition; Vagus nerve